Warfarin embryopathy manifests characteristically as ?
1. Chondrodysplasia punctata
2. Dysplastic hips
3. Auditory sensineuronal hearing loss
4. Gastrointestinal atresias

Correct answer: 1. Chondrodysplasia punctata

Explanation: Ans. is 'a' i.e., Chondrodysplasia punctataRef: Nelson 2Uh/e P. 2397)Warfarin embryopathy is characterized by bone and cartilage abnormalities known as chondrodysplasia punctata.Affected infants may have nasal hypoplasia and excessive calcifications in the epiphyses and vertebrae.